Capgras syndrome is -
1. Sharing of delusion
2. Delusion of double
3. Erotomania
4. Hypochondriacal delusions

Correct answer: 2. Delusion of double

Explanation: Ans. is 'b' i.e., Delusion of double o Capgras syndrome is delusion of double.The delusional misidentification syndrome LDSM)o DSM is characterized by misidentification delusions of other or self. Four main syndromes are differentiated : -Capgras syndrome (Delusion of double) Patient falsely sees a familiar person as a complete stranger who is imposting on him as a familiar person.Fregoli syndrome (illusion de fregoli) : - The patient falsely identifies stranger as familiar person.Syndrome of subjective double : - The patients own self is perceived as being replaced by a double.Syndrome of intermetamorphosis : - A false belief that a person can transform into another person.o These syndrome most commonly appear in schizophrenia. Other causes axe Alzheimer syndrome, head injuries, and delusional disorders,